A psychotic female on phenothiazine therapy complains of sudden onset of high grade fever, muscle rigidity and altered sensorium. The diagnosis is:
1. Malignant hyperthermia
2. Neuroleptic malignant syndrome
3. Tardive dyskinesia
4. Akathisia

Correct answer: 2. Neuroleptic malignant syndrome